Type IIa GIC is used for:
1. Luting crowns, bridges and orthodontic brackets
2. Esthetic restorative cements
3. Reinforced restorative cements
4. Lining cements

Correct answer: 2. Esthetic restorative cements

Explanation: Type I: Luting crowns, bridges, and orthodontic brackets.
Type IIa: Esthetic restorative cements.
Type IIb: Reinforced restorative cements.
Type III: Lining cements, base.
Ref: Phillip’s Science of Dental Materials ed 12 pg 320